Commonest cause of Cushings syndrome is -
1. Adrenal adenoma
2. Carcinoma
3. Hyperplasia
4. Atrophy

Correct answer: 3. Hyperplasia

Explanation: "In most cases, the cause is bilateral adrenal hyperplasia due to hypersecretion of pituitary ACTH or ectopic production of ACTH by a nonpituitary source."- Harrison